Acetylsalicylate poisoning causes:
1. Metabolic acidosis
2. Respiratory acidosis with metabolic alkalosis
3. Metabolic acidosis with respiratory alkalosis
4. Respiratory alkalosis

Correct answer: 3. Metabolic acidosis with respiratory alkalosis

Explanation: Ans. Metabolic acidosis with respiratory alkalosis